"Steeple sign" on X ray in children is most likely indicative of:
1. Vocal cord paralysis
2. Streptococcal pharyngitis
3. Croup
4. Asthma

Correct answer: 3. Croup

Explanation: Ans. C. Croup"Steeple sign" on X ray chest is indicative of subglottic narrowing of the airways. It is commonly seen in children with laryngotracheobronchitis - also commonly referred to as croup. The condition presents in children, often between 3 months - 5 years of age, and is characterized by hoarseness, inspiratory stridor and "barking cough". There are no specific X ray findings in vocal cord paralysis and streptococcal pharyngitis and imaging performed in these patients may only help rule out other causes. Children with asthma often have prominent hyper aerated chest with a flat diaphragm, indicative of obstructive lung disease.